Which of the following is NOT true about electroconvulsive therapy (ECT)?
1. Mainly used for the treatment of major depressive disorder
2. No absolute contraindications to the use of ECT
3. Should not be used in pregnancy
4. Pheochromocytoma is a relative contraindication

Correct answer: 3. Should not be used in pregnancy

Explanation: Between 80% and 90% of all ECT treatments are performed for the treatment of major depressive disorder. There are no absolute contraindications to the use of ECT. With appropriate preparation, ECT can be used effectively and safely in both pregnant and elderly patients. Pheochromocytoma is a relative contraindication for ECT. Ref: Loosen P.T., Shelton R.C. (2008). Chapter 18. Mood Disorders. In M.H. Ebe, P.T. Loosen, B. Nurcombe, J.F. Leckman (Eds), CURRENT Diagnosis & Treatment: Psychiatry, 2e.